Epistaxis in elderly person is most commonly due to:
1. Foreign body
2. Bleeding disorder
3. Hypertension
4. Nasopharyngeal carcinoma

Correct answer: 3. Hypertension

Explanation: (c) Hypertension(Ref. Cummings, 6th ed. 680)The most common cause of epistaxis in an elderly person is hypertension.Foreign body is not seen at this age.Bleeding disorder will present with bleeding from multiple sites.Nasopharyngeal carcinoma presents with upper deep cervical lymph node. Nasal obstruction and blood tinged nasal discharge can occur later on.